In a double-blind clinical drug trial:
1. Each patient receives a placebo
2. Each patient receives both (double) treatments
3. The patients do not know which treatment they are receiving
4. The patients do not know that they are in a drug trial

Correct answer: 3. The patients do not know which treatment they are receiving

Explanation: The double blind trial is so planned that neither the doctor nor the participant is aware of the group allocation and the treatment received. Ref: 25th edition, Park's Textbook of Preventive and Social Medicine, Page no. 91